Metabolic abnormality seen in congenital hypertrophic pyloric stenosis is
1. Hypochloremic hypokalemic metabolic alkalosis
2. Hyperchlonemic hypokalemic metabolic alkalosis
3. Hypochloremic hypokalemic metabolic acidosis
4. Hyperchoremic hypokalemic metabolic acidosis

Correct answer: 1. Hypochloremic hypokalemic metabolic alkalosis

Explanation: To control alkalosis, kidney secretes excess bicarbonate. Due to hyponatremia, body conserves sodium and so bicarbonate is secreted along with the hydrogen in. Urine becomes acidic and called as paradoxical aciduria Reference: SRB edition: 5th page no:830